Indirect hyperbilirubinemia are seen in –
1. Dubin-Johnson syndrome
2. Rotor syndrome
3. Gilbert syndrome
4. Gallstone

Correct answer: 3. Gilbert syndrome